Hair fall seen after chemotherapy due to
1. Anagen effluvium
2. Telogen effluvium
3. Androgenic alopecia
4. Catagen effluvium

Correct answer: 1. Anagen effluvium

Explanation: Hair disorders 1) Anagen effluvium: - Diffuse shedding of anagen hair seen after chemotherapy | Shedding 2) Telogen effluvium: - Increased telogen hair loss seen in 3 months after pregnancy, typhoid fever or any chronic illness. 3) Androgenic alopecia- Testosterone | 5aReductase DHT -most potent form- responsible for hair loss. There is nothing called catagen effluvium.